Which of the following is not a classification of humerus?
1. Neer's
2. Gartland's
3. Garden's
4. Milch

Correct answer: 3. Garden's

Explanation: Neer's is used for proximal humerus fracture Gartland's for supracondylar fracture of humerus Milch for lateral condyle of humerus fracture Garden's for fracture of neck of femur